Fracture of clavicle is commonest at:
1. Junction of medial 1/3rd and lateral 2/3rd
2. Junction of medial 2/3rdand lateral 1/3rd
3. Midpoint
4. Scapular end

Correct answer: 2. Junction of medial 2/3rdand lateral 1/3rd

Explanation: B i.e. Junction of medial 2/3 & lateral 1/3rd